Sickness benefit under ESI is available for a period of -
1. 30 days
2. 46 days
3. 56 days
4. 91 days

Correct answer: 4. 91 days

Explanation: The sicknesses benefit is payable for a maximum period of 91 days, in any continuous period of 365 days.(Ref.PARK'S textbook of preventive and social medicine 21st edition page no.757)